All of the following are features of Zollinger-Ellison syndrome except:-
1. Intractable peptic ulcers
2. Severe diarrhea
3. Arise from beta cell tumors of pancreas
4. Very high acid output

Correct answer: 3. Arise from beta cell tumors of pancreas

Explanation: ZESaAKA Gastrinoma - arise from G- cells/ Gastrin producing cells Has increased gastrin production causing increased acid production- leads to peptic ulcer disease Causes of diarrhea: -Acid produced reaches duodenum and inactivate pancreatic enzymes(works only in alkaline ph) causing Malabsorption -Acid reaches proximal jejunum and causes irritation- leads to jejunal secretion